Most common cause of proptosis in adults is -
1. Orbital cellulitis
2. Thyroid Ophthalmopathy
3. Carotico - cavernous fistula
4. Trauma

Correct answer: 2. Thyroid Ophthalmopathy

Explanation: Ans. is 'b' i.e., Thyroid Ophthalmopathy o The most common cause of unilateral proptosis in children is orbital cellulitis.o The most common cause of unilateral proptosis in adults is thyroid ophthalmopathy.